Obesity is associated with -a) Cushing's syndromeb) Pheochromocytomac) Insulinoma d) Hypothalamic lesion
1. abc
2. ad
3. bc
4. acd

Correct answer: 4. acd